How much lignocaine is present in 2.0ml of 2% lignocaine solution?
1. 40 mg
2. 20 mg
3. 30 mg
4. 2 mg

Correct answer: 1. 40 mg